Chronic hepatitis C infection is associated with which psychological illness that may worsen with IF-a treatment?
1. OCD
2. PTSD
3. Depression
4. Schizophrenia

Correct answer: 3. Depression

Explanation: The relationship between depression and disease progression is multifactorial and likely to involve psychological and social factors, alterations in immune function, and central nervous system disease. Chronic hepatitis C infection is associated with depression, which may worsen with interferon-a treatment.